Neurological complications of meningitis include all of the following except:
1. Cerebral hamartoma
2. Subdural effusions
3. Brain abscess
4. Increased intracranial pressure

Correct answer: 1. Cerebral hamartoma

Explanation: Ans A. Cerebral hamartomaCommon complications that can result following meningitis may be acute like brain abscess, subdural effusion & empyema. Other complications include hearing loss, behavioral abnormalities, and recurrent seizures, problems with memory and concentration and postural dysfunction.